Scutum is present in middle ear ?
1. Roof
2. Lateral wall
3. Medial wall
4. Floor

Correct answer: 2. Lateral wall

Explanation: Lateral wall